True about androgen insensitivity syndrome are all, except:
1. Testes present
2. Absent uterus
3. 46XX
4. Scanty pubic hair

Correct answer: 3. 46XX

Explanation: Ans. 46XX